'Swinging flashlight' test can be helpful to elicit
1. Argyll Robertson pupil
2. Adie's tonic pupil
3. Marcus Gunn pupil
4. Subtle inequality in pupil size

Correct answer: 3. Marcus Gunn pupil

Explanation: The relative afferent pupillary defect(RAPD) - Marcus Gunn pupil- can be elicited with the swinging flashlight test.